Which of the following is called as gateway of Tears
1. Sinus of morgagni
2. Killians dehiscence
3. Passavant ridge
4. Waldeyers ring

Correct answer: 2. Killians dehiscence

Explanation: KILLIAN'S DEHISCENCE Inferior constrictor muscle has two parts: thyropharyngeus with oblique fibres and cricopharyngeus with transverse fibres. Between these two parts exists a potential gap called Killian's dehiscence. It is also called "gateway of tears" as perforation can occur at this site during oesophagoscopy. This is also the site for herniation of pharyngeal mucosa in cases of pharyngeal pouch. Ref:- Dhingra; pg num:-238